Which of the following drugs may enhance the effect of warfarin and increase the risk of bleeding?
1. Phenobarbitone
2. Ketoconazole
3. Rifampicin
4. Carbamazepine

Correct answer: 2. Ketoconazole

Explanation: DRUGS INCREASING THE EFFECT OF WARFARIN DRUGS DECREASING THE EFFECT OF WARFARIN Broad Spectrum Antibiotics (Kill GI bacteria and decrease formation of Vitamin K) Cephalosporins that cause hypoprothrombinemia Cefamandole, Cefoperazone Moxalactam Aspirin Microsomal Enzyme Inhibitors Erythromycin Cimetidine Ketoconazole Enzyme inducers Rifampicin Griseofulvin Phenobarbitone Oral contraceptives (increase clotting factors)